Specific poison for succinate dehydrogenase is ?
1. Cyanide
2. Malonate
3. Arsenite
4. Fluoride

Correct answer: 2. Malonate

Explanation: B i.e. Malonate